Drug of choice for acute iridocyclitis is –
1. Steroids
2. Acetazolamide
3. Atropine
4. Antibodies

Correct answer: 1. Steroids

Explanation: Drug of choice for acute anterior uveitis are topical glucocorticoids.